Dumbell tumour is seen in:
1. Meningioma
2. Neurofibroma
3. Ependymoma
4. Thymoma

Correct answer: 2. Neurofibroma

Explanation: Ans: b (Neurofibroma)Ref: Bailey & Love, 24th ed, p. 864 & 23rd ed, p. 792